Which of the following is the only indicator that considers fertility as well as mortality situation in the society?
1. Total fertility rate
2. General fertility rate
3. Net reproduction rate
4. Gross fertility rate

Correct answer: 3. Net reproduction rate

Explanation: Ans. c (Net reproduction rate) (Ref Text book of PSM by Park 22nd/451)Net reproduction rate (NRR)# It is defined as number of daughters a newborn will bear during her lifetime assuming fixed age -specific fertility and mortality rate.# It is a demographic indicator.# It is the index of fertility, which takes in account the fertility and mortality situation prevailing in the society.# The present level of NRR in India is 1.5 (1990).# NRR of 1 is equivalent to attaining the two-child norm.# NRR =1 can be achieved only if the CPR exceeds 60%, i.e., if at least 60% of eligible couples are effectively practicing family planning.# The national target is to achieve a net NRR of 1 by the year 2006.There are total 15 fertility indicators:# Crude birth rate# General fertility rate# General marital fertility rate# Age-specific fertility rate: important indicator of FP achievement, throws light on fertility pattern# Age specific marital fertility rate# Total fertility rate: completed family size# Total marital fertility rate# Gross reproduction rate: only female births included. Mortality not assumed# Net reproduction rate:- Only female births included.- Mortality is taken into consideration.- Target 1 will be achieved when CPR > 60.# Child-women ratio: used when birth statistics is not good or maintained.# Pregnancy rate: married female in denominator# Abortion rate: all females in denominator# Abortion ratio: abortion/live births# Crude marriage rate# General marriage rate